A 30 - year old multiparous woman is found to have a 5 to 6 cm cyst in one ovary the most appropriate line of management would be :
1. Laparotomy and cystectomy
2. Laparotomy and unilateral salpingo oophorectomy
3. Laparoscopic aspiration of the cyst
4. Observation to see if it disappears by itself in three months

Correct answer: 4. Observation to see if it disappears by itself in three months

Explanation: Observation to see if it disappears by itself in three months